Hereditary retinoblastomas develop the following chromosomal deletion
1. 13q 14
2. 13p 14
3. 14p 13
4. 14q 13

Correct answer: 1. 13q 14

Explanation: (A) 13q 14# Deletion of a small number of tightly clustered genes result in a number of genetic disorders termed as microdeletion syndromes.> Some of the important ones that have been asked include: Wilm's tumor-Aniridia complex 2 (WAGR syndrome) IIpI36 Part of (deletion of short arm of chromosome 11 Retinoblastoma 13qI4.116 (deletion of part of long arm of chromosome 13) Prader-Willi syndrome, Angelman syndrome6 15qII-136 (deletion of pa rt of long arm of chromosome 15) DiGeorge's syndrome, Velo-cardiofacial syndrome 22qII6 (deletion of part of long arm of chromosome 22)